About CSF following statement(s) is/are truea) Specific gravity is 1.003-1.008b) Specific gravity is 1.0003-1.0008c) Total volume of CSF is 150 mld) Daily production is 550 ml/daye) Daily production is 1.500 ml/day
1. abc
2. ad
3. acd
4. bde

Correct answer: 3. acd

Explanation: Specific gravity of CSF is 1.007, total volume is 125-150 ml and daily production is 500-550 ml.